A 35 years old female presented with acne. She was treated for her acne but after the treatment, she developed pigmentation. Which drug is responsible for hyperpigmentation?
1. Tetracycline
2. Erythromycin
3. Minocycline
4. Doxycycline

Correct answer: 3. Minocycline

Explanation: Minocycline Oral antibiotics - most widely prescribed agents in acne Dose -100-200 mg daily Indicated for severe acne, moderate facial acne not responding to topical therapies and/or extensive truncal acne. Adverse effects with minocycline include drug hypersensitivity syndrome (DHS) - within 3 months of treatment initiation characterized by fever, malaise, arthralgia and a diffuse exanthematous skin eruption. lupus?like reaction Hyperpigmentation of skin & nails Melanonychia (dark nails)